Carbolic acid poisoning; Postmortem finding are :
1. Greenish stomach
2. Yellow charred stomach
3. Leathery stomach
4. Black charred stomach

Correct answer: 3. Leathery stomach

Explanation: C i.e. Leathery stomach